100% Oxygen is not effective in:
1. Pulmonary edema
2. MI
3. Tetralogy of fallot
4. COPD

Correct answer: 3. Tetralogy of fallot

Explanation: Ans. C: Tetralogy of fallot